Not a premalignant condition:
1. Retinitis pigmentosa
2. Crohn's disease
3. Ulcerative colitis
4. Leukoplakia

Correct answer: 1. Retinitis pigmentosa

Explanation: Ans. A: Retinitis pigmentosaGIT premalignant conditionsOf the four major primary small-bowel tumors (adenocarcinomas, lymphomas, carcinoid, and leiomyosarcomas), adenocarcinomas and lymphomas are associated with diseases that seem to increase the risk of developing these malignancies.Immunoproliferative small intestinal disease and celiac disease, are thought to predispose patients to the development of primary lymphoma.Increased risk is also associated with conditions, such as immunodeficiency syndromes, nodular lymphoid hyperplasia, Crohn's disease, the gastrointestinal polyposis syndromes, hereditary nonpolyposis colon cancer, neurofibromatosis, long-standing ileostomy, and urinary diversion procedures.Patient with long standing ulcerative colitis are at risk of developing colonic epithelial dysplaia and carcinoma.Oral cavity premalignant conditionsMany oral SCCs develop from premalignant conditions of the oral cavity.A wide array of conditions have been implicated in the development of oral cancer, including leukoplakia, erythroplakia, palatal lesion of reverse cigar smoking, oral lichen planus, oral submucous fibrosis, discoid lupus erythematosus, and hereditary disorders such as dyskeratosis congenital and epidermolysis bullosaOther pre-malignant conditions include actinic keratosis, Barrett's esophagus and cervical dysplasia.